Associated with shotguns only:
1. Gunpowder
2. Primer
3. Projectile
4. Wads

Correct answer: 4. Wads

Explanation: Ans. Wads